Parathormone secretion is stimulated by ?
1. Increased serum Ca++
2. Decreased serum Ca++
3. Increased serum K+
4. Decreased serum K+

Correct answer: 2. Decreased serum Ca++

Explanation: Ans. is `b' i.e., Decreased serum Ca++